Von magnus phenomenon is
1. High hemagglutinin titre, low infectivity
2. High hemagglutinin titre, high infectivity
3. Low hemagglutinin titre, low infectivity
4. Low hemagglutinin titre, High infectivity

Correct answer: 1. High hemagglutinin titre, low infectivity

Explanation: Commonly hemagglutinin titre α Infectivity but in Von-Magnus phenomenon - High hemagglutinin titre, Low infectivity due to mutation in virulent gone.